Which of the following cements is most irritant to pulpal tissues?
1. Zinc phosphate
2. Silicate
3. Glass ionomer
4. Polycarboxylate

Correct answer: 2. Silicate

Explanation: Because of its high acidity, silicates were classifed as severe irritant. High acidity can irritate and sometimes lead to irreversible pulpal damage.
Ref: Mannapalli ed 3 pg 48